Visual analog scale is a -
1. Pain scale
2. Pressure scale
3. Vision scale
4. Auditory scale

Correct answer: 1. Pain scale

Explanation: Ans. is 'a' i.e., Pain scale Visual analog Scaleo The visual analogue scale or visual analog scale (VAS) is a psychometric response scale which can be used in questionnaires.o It is a measurement instrument for subjective characteristics or attitudes that cannot be directly measured,o When responding to a VAS item, respondents specify their level of agreement to a statement by indicating a position along a continuous line between two end-points,o VAS is the most common pain scale for quantification of severity of pain.